Cu-T-380A IUCD should be replaced in:
1. 4 years
2. 6 years
3. 8 years
4. 10 years

Correct answer: 4. 10 years

Explanation: Cu-T 380A: - MC used IUD in India. - 380 is surface area of Cu in mm2 - A : Arm . - The effective lifespan of Cu-T 380A IUD is 12 years but approved for 10 years use, and it should be replaced after this time period.